Which of the following has longer half life:
1. I-123
2. I-131
3. I-132
4. All have equal half life

Correct answer: 2. I-131

Explanation: Ans. I-131